Looser's zones is seen in :
1. Osteoporosis
2. Hyperparathyrodism
3. Osteomalacia
4. Multiple myelorna

Correct answer: 3. Osteomalacia

Explanation: C i.e. Osteomalacia Osteomalacia: - Looser's zoneQ or PseudofractureQ (Hallmark) Mn- "Losse Pencilin Fish" - Pencilling-in- of vertebral bodies - Cod - fish (marked biconvex) veebraeQ Renal Osteodystrophy - It combines findings of ostemalacia, hyperparathyroidism (d/t CRF): and bone sclerosis - Osteomalacia 1/t Looser's zone - Hyper PTH 1/t Subperiosteal Erosion of bone - Osteosclerosis l/t Rugger Jersey spineQ (End plate sclerosis with alternating bands of radiolucency) Hyperparathyroidism Mn: O.P. = Osteopenia Lost = Loss of lamina dura Brown's tumor Brown = Subperiosteal Erosion (pathognomic)Q, Subchondral erosion & Erosed = intracortical erosions 1/t cigar shaped lucencies Salt Salt & Pepper/Pepper-pot skullQ Basket = Basket work appearance of cortex